Chromodacryorroea (shedding of pink tears due to accumulation of porphyrin) may be seen in poisoning with :
1. Arsenic
2. Barbiturate
3. Cu504
4. Oraganophosphorous

Correct answer: 4. Oraganophosphorous

Explanation: D i.e. Organo phosphorus